La belle indifference, which is true -
1. Excessive occupation with minor ailments
2. Characterize by coprolalia
3. Disregard for symptoms despite apparent severity
4. None

Correct answer: 3. Disregard for symptoms despite apparent severity